Lining of gallbladder mucosa is
1. Cuboidal
2. Transitional
3. Columnar
4. Squamous

Correct answer: 3. Columnar

Explanation: The gallbladder wall's innermost surface is lined by a single layer of columnar cells with an apical brush border of microvilli, very similar to intestinal absorptive cells. Underneath the epithelia is an underlying lamina propria, a muscular layer, an outer perimuscular layer, and serosa. Unlike elsewhere in the intestinal tract, the gallbladder does not have a muscularis mucosa, and the muscular fibres are not arranged in distinct layers. ref - BDC 6e vol2 pg292